All of them use non-ionizing radiation, except:
1. Ultrasonography
2. Thermography
3. MRI
4. Radiography

Correct answer: 4. Radiography